A girl presents with complaints of malena. On examination there are pigmented lesions involving her mouth and lips. Two of her sisters also had similar complaints. Which of the following is the most probable diagnosis -
1. Kornkhite Canada syndrome
2. Puetz Jegher's syndrome
3. Gardner's syndrome
4. Turcot's syndrome

Correct answer: 2. Puetz Jegher's syndrome